A 6-year-old male child, whose medical history includes a complicated delivery, has a permanently tilted head posture, with the right ear near the right shoulder and the face turned upward and to the left. Which of the following muscles was most likely damaged during birth?
1. Anterior scalene
2. Omohyoid
3. Sternocleidomastoid
4. Trapezius

Correct answer: 3. Sternocleidomastoid

Explanation: Because of its size and vulnerable position during birth, the sternocleidomastoid muscle is injured more often than other muscles of the head and neck during birth. When acting alone, the action of this muscle is to turn the head to the opposite side and bend it toward the ipsilateral shoulder. When using both muscles, the head will flex toward the chest. Therefore, the most likely muscle to have been injured here is the left sternocleidomastoid muscle.